Staphylococcus aureus differs from staphylococcus epidermidis by:
1. Is coagulase-positive
2. Forms white colonies
3. A common cause of UTI
4. Causes endocarditis of prosthetic valve

Correct answer: 1. Is coagulase-positive